Hinge axis is best detected by
1. Face bow transfer and freely adjustable condylar pieces
2. Face bow with three point articulator
3. With face bow only
4. With articulator only

Correct answer: 1. Face bow transfer and freely adjustable condylar pieces